A 40-year-old male complains of exquisite pain and tenderness over the left ankle. There is no history of trauma. The patient is taking a mild diuretic for hypertension. On exam, the ankle is very swollen and tender. There are no other physical exam abnormalities. The next step in management is
1. Begin Colchicine and broad-spectrum antibiotics
2. Obtain uric acid level and perform arthrocentesis
3. Begin allopurinol if uric acid level is elevated
4. Obtain ankle x-ray to rule out fracture

Correct answer: 2. Obtain uric acid level and perform arthrocentesis

Explanation: The sudden onset and severity of monoarticular arthritis suggests acute gouty arthritis, especially in patient on diuretic therapy. Arthrocentesis is indicated in the first episode- demonstrate needle shaped, negatively birefringent crystals and to rule out other diagnoses such as infection. For most patients with acute gout, NSAIDs are the treatment of choice. Colchicine is also effective, but causes nausea and diarrhea. Antibiotics should not be started for infectious arthritis before an arthrocentesis is performed. Hyperuricemia should never be treated in the setting of an acute attack of gouty arthritis. Long-term prophylaxis with allopurinol is considered for repeated attacks of acute arthritis, or formation of tophaceous deposits. X-ray of the ankle would likely be inconclusive in this patient with no trauma history